Artery of Adamkiewicz is related to?
1. Hand
2. Penis
3. Brain
4. Spinal Cord

Correct answer: 4. Spinal Cord

Explanation: Ans. is'd'i.e., Spinal Cord[Ref. Moore, Keith; Anne Agur (2007). Essential Clinical Anatomy, Third Edition. Lippincott Williams (t Wilkins. p. 29B)The artery of Adamkiewicz, also known as the great anterior radiculomedullary artery or arteria radicularis anterior magna, is the name given to the dominant thoraco-lumbar segmental artery that supplies the spinal cord.